Regarding aprepitant all are true except:
1. Agonist at NK1 receptors
2. Crosses Blood Brain Barrier
3. Ameliorate nausea and vomiting induced by chemotherapy
4. Metabolized by CYP450 enzymes

Correct answer: 1. Agonist at NK1 receptors

Explanation: it is a recently introduced selective high affinity NK1 receptor antagonst that blocks the emetic action of substance P,with little effect on 5HT3and D2 or other receptor ESSENTIALS OF MEDICAL PHARMACOLOGY SEVENTH EDITION KD TRIPATHI PG NO.669